All are features off haemolytic uremic syndrome,EXCEPT-
1. Hyperkalemia
2. Anaemia
3. Renal microthrombi
4. Neuro psychiatric disturbances

Correct answer: 4. Neuro psychiatric disturbances